Most effective treatment for severe malaria is:
1. Artesunate
2. Chloroquine
3. Quinine
4. Primaquine

Correct answer: 1. Artesunate

Explanation: CLASSIFICATION 1.4-Aminoquinolines: Chloroquine, Amodiaquine, Piperaquine. 2.Quinoline-methanol :Mefloquine. 3.Cinchona alkaloid :Quinine, Quinidine 4.Biguanides :Proguanil (Chloroguanide) Chlorproguanil 5. Diaminopyrimidines Pyrimethamine 6. 8-Aminoquinoline :Primaquine, Bulaquine 7.Sulfonamides and sulfone: Sulfadoxine Sulfamethopyrazine Dapsone 8. Tetracyclines:Tetracycline, Doxycycline 9. Sesquiterpine lactones:Artesunate, Artemether, Arteether 1 0. Amino alcohols:Halofantrine, Lumefantrine 1 1 . Mannich base:Pyronaridine 1 2. Naphthoquinone:Atovaquone 1. Artesunate-sulfadoxine + pyrimethamine (AS/5/P) This ACT has been adopted as the first line drug for falciparum malaria in chloroquineresistant areas under the 'National antimalaria drug policy' of India, and has replaced chloroquine in 73 districts. However, this does not imply that it is the most effective/best ACT, because it is not effective against multidrugresistant strains which are nonresponsive to S/P. Moreover, no comparative evaluation of this regimen against AS/MQ or artemether/ lumefantrine, etc. has been done to establish the relative efficacy /tolerability. 2. Artesunate-mefloquine (AS/MQ) It has been extensively used in Thailand, Myanmar and several other countries; found to be highly effective, well tolerated and is now the first line treatment for uncomplicated falciparum malaria in Southeast Asia. Many areas in the far East already have mefloquine-resistant P. falciparum. By combining with artesunate, further spread of mefloquine-resistance has been prevented ESSENTIALS OF MEDICAL PHARMACOLOGY K.D.TRIPATHI SIXTH EDITION PAGE NO:781,795